Which of the following is not a component of Rotterdam criteria for diagnosing polycystic ovarian syndrome (PCOD)
1. Multiple cysts in ovaries seen on USG
2. Anovulation
3. Clinical or biochemical hyperandrogenism
4. Hyperinsulinism

Correct answer: 4. Hyperinsulinism

Explanation: Hyperinsulinism is not among Rotterdam criteria, although insulin resistance is seen in POCD.